True regarding acetazolamide is
1. Irreversible inhibitor of carbonic anhydrase
2. Structural resemblance to sulfonamides
3. It decrease so potassium excretion
4. It cause metabolic alkalosis

Correct answer: 2. Structural resemblance to sulfonamides

Explanation: Acetazolamide is non-competitive but reversible inhibitor of carbonic anhydrase It is a sulfonamide derivative It causes hypokalemia and metabolic acidosis.